Cluster testing is used in the detection of-
1. STD
2. Diabetes
3. Measles
4. Cancer

Correct answer: 1. STD

Explanation: .Cluster testing is used in the detection of of STD S.here the patients are asked to name other persons of either sex ho move in the same socio-sexual environment.these persons are then screened .this technique ha been shown almost to double the number of cases found ref:park's textbook,ed22,pg no 312